The primary etiologic factor in the development of furcation defect is
1. Calculus
2. Plaque
3. Cemental caries
4. Root infection

Correct answer: 2. Plaque